Prussak space is in
1. Epitympanum
2. Mesotympanum
3. Hypotympanum
4. Inner Ear

Correct answer: 1. Epitympanum